Dead layer of epidermis -
1. Stratum basale
2. Stratum spinosum
3. Stratum corneum
4. Stratum granulosum

Correct answer: 3. Stratum corneum

Explanation: Ans. is 'c' i.e., Stratum corneum o Stratum basale, stratum spinosum and stratum granulosum, together form the living layer and constitute the site of synthesis of keratin (Keratin is mostly synthesized in stratum spinosum). o Stratum corneum is the dead layer Layers of the epidermis (From deep to superficial) In palm & sole (5 lavers) i) Stratum basale ii) Stratum spinosum iii) Stratum granulosum iv) Stratum lucidum v) Stratum corneum Elsewhere (4 lavers) i) Stratum basale ii) Stratum spinosum iii) Stratum granulosum iv) Stratum corneum